A man with chest pain, ST segment depression in lead vl-v4, after one hour will not be given:
1. Beta blocker
2. Thrombolytic
3. Morphine
4. Aspirin

Correct answer: 2. Thrombolytic

Explanation: Thrombolytic All patients suspected of having ischemia, go through the same initial management protocol (MONA) (Morphine, Oxygen, Nitrates, Aspirin). Beta blockers are also routinely given in all cases of M.I. After the inital management, the patient requires reperfusion therapy. The type of reperfusion therapy administered to the patient depends upon the E.C.G. finding